The antibody responsible for heparin induced thrombocytopenia is:
1. Antiheparin / PF4 antibody
2. Antiheparin / PF2 antibody
3. Antiheparin / GP IIb/IIIa antibody
4. Antiheparin GP Ib/IX antibody

Correct answer: 1. Antiheparin / PF4 antibody

Explanation: HIT results from antibody formation to a complex of the platelet specific protein platelet factor 4 and heparin. Ref: Harrisons principles of internal medicine, Edition -18, Page - 967.